Most common valvular lesion in carcinoid syndrome of the heart is
1. AR
2. AS
3. TR
4. MS

Correct answer: 3. TR